Arrange the following drugs according to their half life in increasing order1. Amiodarone2. Adenosine3. Esmolol4. Omeprazole
1. 2, 3, 4, 1
2. 2, 3, 1, 4
3. 3, 2, 4, 1
4. 2, 4, 2, 1

Correct answer: 1. 2, 3, 4, 1

Explanation: Ans. AExplanation:* Amiodarone is longest acting anti-arrhythmic drug. Its half life is more than 3 weeks.* Adenosine is shortest acting anti-arrhythmic drug having half life less than 10 seconds.* Esmolol is an ultra short acting beta blocker. It is metabolized by pseudocholinesterase and thus has half life less than 5 minutes.* Omeprazole has half life of 1 -2 hours but works for 24 hours due to irreversible inhibition of proton pump.* Thus, the sequence isAdenosine < Esmolol < Omeprazole < Amiodarone